Which of the following is not true about idiopathic pulmonary Hemosiderosis
1. Iron deficiency Anemia
2. Eosinopenia
3. (upward arrow) Bilirubin
4. (upward arrow) Reticulocyte count

Correct answer: 2. Eosinopenia

Explanation: Idiopathic pulmonary haemosiderosis (IPH) is a lung disease of unknown cause that is characterized by alveolar capillary bleeding and accumulation of haemosiderin in the lungs Being idiopathic, IPH by definition has an unknown cause. It is thought to be an immune-mediated disease.The lung bleeding causes accumulation of iron, which in itself causes additional lung damage. Meanwhile, there is insufficient iron for inclusion into the haemoglobin molecules inside red blood cells which carry oxygen to body tissues for cellular respiration. Idiopathic pulmonary haemosiderosis can occur either as a primary lung disorder or as the sequela to other pulmonary, cardiovascular or immune system disorder.eosinophilia is not seen however Hemosiderosis has two main causes: bleeding within an organ or area of tissue. red blood cells breaking down within your bloodstream PH1 involves PH with circulating anti-GBM antibodies. PH2 involves PH with immune complex disease such as systemic lupus erythematosus, SLE. PH3 involves no demonstrable immune system involvement. A distinct subset of patients with pulmonary hemosiderosis has hypersensitivity to cow's milk which result in formation of IgG antibodies against basement membrane. This is called Heiner syndrome. Mechanism of haemorrhage is similar to that observed in Goodpasture syndrome. Ref Davidson 23rd edition pg 617